The most common complication of vagotomy is:
1. Diarrhoea
2. Dryness of mouth
3. Tachycardia
4. Bleaching

Correct answer: 1. Diarrhoea

Explanation: Postvagotomy diarrhea- most commonly observed after truncal vagotomy Due to a motility disorder from interruption of the vagal fibers supplying the luminal gut. Other factors may include decreased absorption of nutrients, increased excretion of bile acids, release of luminal factors that promote secretion. Diphenoxylate or loperamide is often useful in symptom control.